Worth 4 dot test is done for:
1. Color deficiency
2. Strabismus
3. Binocular vision
4. Squint

Correct answer: 3. Binocular vision

Explanation: Ans. (c) Binocular visionRef: A.K. Khurana 6th ed. 1342* Worth four dot test (WFDT) is a test for binocular vision using red-green color dissociation.* It is a dissociation test which can be used with both distance and near fixation and differentiate between binocular single vision, abnormal retinal correspondence and suppression.* NOTE: result of WFDT can only be interpreted if the presence or absence of manifest squint is known at the time of testing.